All form boundaries of triangle of auscultation except?
1. Trapezius
2. Latissmusdorsi
3. Scapula
4. Rhomboid major

Correct answer: 4. Rhomboid major

Explanation: Ans. is 'd' i.e., Rhomboid major Triangle of auscultation has the following boundarieso Superiorly and medially, by the inferior portion of the Trapezius.o Inferiorly, by the Latissimus Dorsi.o Laterally, by the medial border of the scapula.o The superficial floor of the triangle is formed by the Serratus anterior and the lateral portion of the erector spinae muscles.o Deep to these muscles are the osseous portions of the 6tl' and 7* ribs and the internal and external intercostal muscles.o Typically, the Triangle of Auscultation is covered by the Scapula.o To better expose the triangle and listen to respiratory sounds with a stethoscope, patients are asked to fold their arms across their chest, medially rotating the scaptdae, while bending forward at the trunk, somewhat resembling a fetal position.